Which one of the following produces toxic hypothermia?
1. Salicylates
2. Anticholinergics
3. Antidepressants
4. Opioids

Correct answer: 4. Opioids

Explanation: Opioids cause Respiratory depression and oxygen desaturations, miosis, decreased GI motility, bradycardia, hypothermia and coma Alcohol and barbiturates too cause hypothermia Ref: Krishan Vij textbook of forensic medicine, 5th edition pg : 490